Which is not an osmotic laxative?
1. Sorbitol
2. Magnesium Hydroxide
3. Polyethylene glycol
4. Bisacodyl

Correct answer: 4. Bisacodyl

Explanation: Laxatives Bulk forming Dietary fibre Osmotic Sorbitol Lactulose Polyethylene glycol Mg(OH)2 MgSO4 Stimulant Senna Cascara Bisacodyl